Which of the following dermatological condition is associated with mutation in K1 (Keratin 1) and K10 (Keratin 10) genes?
1. Epidermolysis bullosa simplex
2. Epidermolytic hyperkeratosis
3. Epidermolytic palmoplantar keratoderma
4. Meesmann epithelial corneal dystrophy

Correct answer: 2. Epidermolytic hyperkeratosis

Explanation: Mutations in keratins K1 and K10 are associated with bullous congenital ichthyosiform erythroderma (BCIE), also sometimes referred to as Epidermolytic hyperkeratosis. Features of Epidermolytic hyperkeratosis: It manifest at birth as generalized erythroderma associated with vesicles and bullae. It then progress to generalized verrucous hyperkeratosis with prominent involvement of flexural areas. Blisters are present in the epidermis.